A 55-year-old man with recent onset of atrial fibrillation presents with a cold, pulseless left lower extremity. He complains of left leg paresthesia and is unable to dorsiflex his toes. Following a successful popliteal embolectomy, with restoration of palpable pedal pulses, the patient is still unable to dorsi- flex his toes. The next step in management should be
1. Electromyography (EMG)
2. Measurement of anterior compartment pressure
3. Elevation of the left leg
4. Immediate fasciotomy

Correct answer: 4. Immediate fasciotomy

Explanation: This case illustrates two (among many) conditions that lead to the anterior compartment syndrome, namely, acute arterial occlusion without collateral inflow and rapid reperfusion of ischemic muscle. Treatment for a compartment syndrome is prompt fasciotomy Assessing a compartment syndrome and proceeding with fasciotomy are generally based on clinical judgment. Inability to dorsiflex the toes is a grave sign of anterior compartment ischemia. EMG studies and compartment pressure measurements would probably be abnormal but are unnecessary in view of the known findings and would delay treatment. Mere elevation of the leg would be an ineffective means of relieving compartment pressure, although elevation should accompany fasciotomy. Application of a splint has no role in the acute management of this problem.